Middle meningeal artery is direct branch of ?
1. External carotid artery
2. Internal maxillary artery
3. Superficial temporal artery
4. Middle cerebral artery

Correct answer: 2. Internal maxillary artery

Explanation: Middle meningeal artery is a direct branch of the first part of the internal maxillary artery in the infratemporal fossa.